Which of the following is the best parameter to measure air pollution?
1. SO2
2. CO2
3. CO
4. N20

Correct answer: 1. SO2

Explanation: The best indicators of air pollution are sulphur dioxide (SO2), smoke and suspended particles. These are monitored on a daily basis over several sites. The results are then collected by a central agency. Methods for monitoring air pollution: Sulphur dioxide Smoke or Soiling index Grit and dust measurement Coefficient of haze Air pollution index Ref: Park's Textbook of Social and Preventive Medicine, 19th edition, Page 593.